ECT indicated in:
1. Severe depression
2. Thyrotoxicosis crisis
3. Alcohol withdrawl
4. Delirium tremors

Correct answer: 1. Severe depression

Explanation: (Severe depression): Ref: 105 -NA 5th (213-NA 6th)INDICATIONS OF ECT1. Major severe depression2. Severe catatonia ("functional")3. Severe psychosis (Schizophrenia or mania)I. With suicidal risk (This is the first and most important)II. With stuporIII. With poor intake of food and fluidsIV. With melancholiaV. With psychotic featuresVI. With unsatisfactory response to drug therapyVII. Where drugs are contraindicated or have serious side effectsVIII.Where speedier recovery is neededI. With stuporII. With poor intake of food and fluidsIII. With unsatisfactory response to drugs therapyIV. Where drugs are contraindicated or have serious side effectsV. Where speedier recovery is neededI. With risk of suicide, homicide or danger of physical assaultII. With unsatisfactory response to drug therapyIII. Where drugs are contraindicated or have serious side effectsIV. With very prominent, depressive features (eg. Schizo- affective disorder)Suggestive indications (Occasional use)1. Organic mental disorders (eg - Organic mood syndrome, organic hallucinosis, organic delusional disorders, and delirium)2. Medical disorders (eg. Organic catatonia, hypopituitarism, intractable seizures disorder, neuroleptic malignant syndrome and parkinsonism